Longest antero posterior diameter of the inlet is seen in pelvis :
1. Anthropoid
2. Platypelloid
3. Android
4. Gynaecoid

Correct answer: 1. Anthropoid

Explanation: Anthropoid